Cobb's angle is used to measure the degree:
1. Kyphoscoliosis
2. Angular deformity of the knee
3. Extent of depression in calcaneal fracture
4. Extent of spondylolisthesis

Correct answer: 1. Kyphoscoliosis

Explanation: The angle between intersecting lines drawn perpendicular to the top of the top vertebrae and the bottom of the bottom vertebrae is the Cobb angle Cobb's angle of 10 degree is minimum angulation to define the scoliosis.